Rolled up edges are seen in which of the following ulcer?
1. Tubercular
2. Venus
3. Rodent
4. Gummatus

Correct answer: 3. Rodent

Explanation: Ans is 'c' i.e. Rodent EdgesUlcerSloppingVenous, TraumaticUnderminedTB, DecubitusPunched outGummatus, Deep trophicRolled upRodent (BCC)Everted (rolled out)see